First line treatment of RPGN is?
1. Wait and watch
2. Sirolimus
3. Methylprednisolone
4. Plasma exchange

Correct answer: 3. Methylprednisolone

Explanation: * For management of acute GN/ RPGN give 500-1000 mg methylprednisolone while awaiting biopsy results. * Consider plasmapheresis for further treatment based on underlying disease.